Of the total amount of saliva secreted by all the salivary glands, about 60% is secreted by the
1. Parotid glands
2. Sublingual glands
3. Submandibular glands
4. None of the above

Correct answer: 3. Submandibular glands